Bilateral contracted kidney occurs in all except
1. Diabetes mellitus
2. Benign nephrosclerosis
3. Chronic pyelonephritis
4. Chronic glomerular nephritis

Correct answer: 1. Diabetes mellitus